Eosinophil are activated by
1. IL 1
2. IL5
3. IL4
4. IL6

Correct answer: 2. IL5

Explanation: ref Robbins 8/e p200; IL 5 is required for the development and maturation of eosinophil Through binding to the interleukin-5 receptor, interleukin 5 stimulates B cell growth and increases immunoglobulin secretion - primarily IgA. It is also a key mediator in eosinophil activation.